Charcot-Leyden crystals and Curshmann's spirals are seen in:
1. Bronchial asthma
2. Chronic bronchitis
3. Bronchiectasis
4. Emphysema

Correct answer: 1. Bronchial asthma

Explanation: [A) (Bronchial asthma): Ref: 492-HM (492-Basicpathology 8th)* Charcot-Leyden crystals and curschmann's spirals are features of Br. Asthma* Charcot-Leyden crystals - sputum contains numerous eosinophils and diamond-shaped crystals derived from easinophils called charcot-leyeen crystals* Curschmann's spirals: - The mucus plugs contain normal or degenerated respiratory epithelium forming twistedstrips called curschmann s spirals 1 2 3 4 5* "Honey-combed appearance " seen in Bronchiectasis* "Reid-Index" shows histologic definition in chronic bronchitis